Therapeutic uses of calcium salts include the following except:
1. Osteoporosis
2. Disorder of coagulation.
3. Laryngospasm.
4. Extreme hyperkalemia.

Correct answer: 2. Disorder of coagulation.

Explanation: Calcium is used in the treatment of calcium deficiency states like osteoporosis, tetany and laryngospasm. Calcium gluconate is used to reverse some of the cardiotoxic effects of hyperkalemia and it may be life saving. Though calcium is involved in blood coagulation, it is not used to treat coagulation disorders.